Bleomycin toxicity affects which type of cells :
1. Type–I pneumocytes
2. Type–II pneumocytes
3. Endothelial cells
4. Pulmonary alveolar macrophages

Correct answer: 1. Type–I pneumocytes

Explanation: Bleomycin causes necrosis of Type I pneumocytes that results in compensatory hyperplasia of type-II pneumocytes. The same kind of injury can also occur in response to radiations. In experimental models, this type of injury has been ameliorated by keratinocyte growth factor.